The first hormone secretion that is affected in a pituitary lesion is-
1. FSH,LH
2. ACTH
3. TSH
4. GH

Correct answer: 4. GH

Explanation: GH secreting somatotrope constitute about 50% of anterior pituitary cell population ( Harrison 17 pg 2207)